All of the following are symptoms of VIPomas except-
1. Watery Diarrhoea
2. Hypokalemia
3. Flushing
4. Thromboembolism

Correct answer: 4. Thromboembolism

Explanation: Ans. is 'd' i.e., Thromboembolism o VIPomas are endocrine tumors that secrete excessive amounts of vasoactive intestinal peptide (VIP)o Excessive VIP causes a distinct syndrome characterized by large-volume diarrhea, hypokalemia, and dehydration. This syndrome also is called Verner-Morrison syndrome, pancreatic cholera and WDHA syndrome for watery diarrhea, hypokalemia, and achlorhydria.o The principal symptoms are large-volume diarrhea (100%) severe enough to cause hypokalemia (80-100%), dehydration (83%), hypochlorhydria (54-76%), and flushing (20%).o In adults 80-90% of VIPomas are pancreatic in location, with the rest due to VIP-secreting pheochromocytomas, intestinal carcinoids, and rarely ganglioneuromas.